What is true about Histoplasmosis -
1. In early stage it is indistinguishable from TB
2. Culture is not diagnostic
3. Mycelial forms are infectious form
4. Person to person spread occurs by droplet infection

Correct answer: 3. Mycelial forms are infectious form

Explanation: Chronic cavitary histoplasmosis is seen in smokers who have structural lung disease (e.g. bullous emphysema) is characterized upper-lobe infiltrates, cavitation, and pleural thickening- mimics cavitary tuberculosis.
Isolation of fungi by culture and demonstration of dimorphism is diagnostic.
Reservoir of infection: Soil
Microconidia (spores) are the infective form and mode of infection is inhalation.
Person to person or animal to man transmission in not known so far for Histoplasmosis.